HbA, AC level in blood explains -
1. Acute rise of sugar
2. Long terms status of blood sugar
3. Hepatorenal syndrome
4. Chronic pancreatitis

Correct answer: 2. Long terms status of blood sugar